Secondary deposits from prostatic carcinoma is commonest in
1. Bone
2. Kidney
3. Liver
4. Brain

Correct answer: 1. Bone